The left suprarenal vein drains into:
1. Inferior vena cava
2. Lt. renal vein
3. Rt. renal vein
4. Portal vein

Correct answer: 2. Lt. renal vein

Explanation: Ans: b (Lt. renal vein)Venous drainage of the suprarenals:Left suprarenal vein drains into the Lt. renal veinRt. suprarenal vein drains into the inferior vena cavaArterial supply.Each gland is supplied by:1) Superior suprarenal artery- Br. of inferior phrenic artery2) Middle suprarenal artery- Br. of abdominal aorta3) Inferior suprarenal artery- Br, of renal artery